Serum marker after Hepatitis B vaccination -
1. Anti-HBsAg
2. Anti-HBeAg
3. Anti-HBcAg
4. HBsAg

Correct answer: 1. Anti-HBsAg

Explanation: Ans. is 'a' i.e., Anti-HBsAg HBsAgAnti HBsAgHBeAgAnti HBeAgAnti HBeAgAcute HBV (high infectivity)+-+ IgMAcute HBV (low infectivity)+- +IgMChronic HBV (high infectivity)+-+ IgGChronic HBV (low infectivity)+- +IgGRecovery-+-+IgGImmunized-+ -